All are seen in congestive cardiac failure except –
1. Kerley B lines
2. Prominent lower lobe vessel
3. Pleural effusions
4. Cardiomegaly

Correct answer: 2. Prominent lower lobe vessel

Explanation: There are prominent upper lobe vessels (not lower lobe) due to PVH.
CHF (LVF) presents radiologically with cardiomegaly and signs of pulmonary venous hypertension (see above explanation for signs of PVH).